Type I diabetes mellitus may be associated with:
1. Obesity
2. Celiac Disease
3. Down's syndrome
4. Precocious puberty

Correct answer: 2. Celiac Disease

Explanation: Ans. B. Celiac DiseaseOther conditions associated with Type I Diabetes Mellitus include (autoimmune) thyroiditis, Celiac Disease and Addison disease.